Which of the following regarding bacterial drug resistance is not true -
1. Most bacterial drug resistance is due to production of penicillin degrading enzymes
2. Plasmid mediated resistance is always transmitted vertically
3. Complete elimination of target produces resistance to vancomycin
4. Alteration in target protein leads to pneumococcal resistance

Correct answer: 2. Plasmid mediated resistance is always transmitted vertically